Collagen is found in following, except:
1. Ligament
2. Tendon
3. Fibroblasts
4. Aponeurosis

Correct answer: 3. Fibroblasts

Explanation: Fibroblasts